The term that best describes the nuclear dissolution is
1. Pyknosis
2. Karyorrhexis
3. Karyolysis
4. None of the above

Correct answer: 3. Karyolysis

Explanation: Pyknosis is condensation of nucleus.
Karyorrhexis is fragmentation of nucleus.
Karyolysis is dissolution of nucleus.